25 yr old female develops masseter muscle spasm after IV succinyl choline. ETCO2 progressively increases, heart rate increases, temperature raises; management includes all except :-
1. Start halothane to decrease the heart rate
2. Hyperventilate with 100 % oxygen
3. Active cooling measures
4. Treat acidosis

Correct answer: 1. Start halothane to decrease the heart rate

Explanation: It is most probably malignant hyperthermia. Halothane is contraindicated in malignant hyperthermia.